True statement regarding development of drug resistance in MRSA is
1. Results due to pencillinase enzyme production
2. Occurs due to change in penicillin -binding proteins
3. Chromosome mediated
4. Treated with amoxicillin +clavulanix acid

Correct answer: 2. Occurs due to change in penicillin -binding proteins

Explanation: Ref Katzung 11/e p776 Methicillin resistance occurs due to altered PBPs6, thus no penicillin (infant no beta lactam antibiotic) is useful against Methicillin -resistant Staphylococcus Audrie infections